In random sampling chance of being picked up is ?
1. Same and known
2. Not same and not known
3. Same and not known
4. Not same but known

Correct answer: 1. Same and known

Explanation: Ans. is 'a' i.e., Same & known Simple random sampling Simple random sampling, also, known as 'unrestricted random sampling'; is applicable for small, homogenous, readily available population and is used in clinical trials. In simple random sampling each individual is chosen randomly and entirely by chance. So, each individual has the same probability of being chosen at any stage during the sampling process. For example o Let us assume you had a school with 1000 students, divided equally into boys and girls, and you wanted to select 100 of them for further study. o You might put all their names in a bucket and then pull 100 names out. o Not only does each person have an equal chance of being selected, we can also easily calculate the probaility of a given person being chosen, since we know the sample size (n) and population (N) and it becomes a simple matter of division --> n/N or 100/1000 = 0.10 (10%). o This means that every student in the school has a 10% or 1 in 10 chance of being selected using this method. Methods of simple random sampling. Lottery method Random number table Computer sofware ---> Computer technique.